The diagnostic laboratory finding in nephrotic syndrome:
1. Elevated blood urea
2. Severe anaemia
3. Massive albuminuria
4. Hyper glycaemia

Correct answer: 3. Massive albuminuria